A 42- year old man is undergoing chemotherapy after resection of a cecal adenocarcinoma with positive lymph nodes. Which of the following potentially operable complications is a common occurrence among patients receiving systemic chemotherapy?
1. Acute cholecystitis
2. Perirectal abscess
3. Appendicitis
4. Diverticulitis

Correct answer: 2. Perirectal abscess

Explanation: A surgeon is frequently asked to evaluate patients who are receiving systemic chemotherapy Most complications of chemotherapy do not require surgical therapy. Perirectal abscesses are more common in these immunosuppressed patients. 'Gastrointestinal bleeding occurs secondary to mucosal irritation and thrombocytopenia, Pancreatitis is uncommon, but is associated with L-asparaginase use. Up to 20% of patients treated with floxuridine by continuous hepatic artery infusion develop some degree of inflammation and obstruction of the bile duct. Systemic chemotherapy does not increase the likelihood of acute cholecystitis. appendicitis, incarcerated femoral hernia, or diverticulitis.